Hypertrichosis is seen with following drugs EXCEPT:
1. Minoxidil
2. Cyclosporine
3. Barbiturates
4. Phenytoin

Correct answer: 3. Barbiturates

Explanation: (Barbiturates) (276-H 16th) (301-345-H17th)Hypertrichosis - Occurs in use of phenytoin, minoxidil, or cyclosporine, Diazoxide, Androgens, oral contraceptives containing androgenic progestins.